Absent/hypoplastic radius is a feature of?
1. Holt-Oram syndrome
2. Spondyloepiphyseal dysplasia
3. Chondrodysplasia punctata
4. CCD

Correct answer: 1. Holt-Oram syndrome

Explanation: Ans ARadial hypoplasia more commonly a sporadic mutation rather than an inherited condition. In case of an inherited condition, several syndromes are known such as the Holt- Oram syndrome, VATER syndrome, Fanconi anemia and TAR syndrome. Other possible causes are an injury to the apical ectodermal ridge during upper limb development, intrauterine compression & maternal drug use (thalidomide).